The cellular component for protein synthesis is :
1. Smooth endoplasmic reticulum
2. Rough endoplasmic reticulum
3. Ribosomes
4. Mitochondria

Correct answer: 3. Ribosomes

Explanation: C i.e. Ribosomes